Diabetic gangrene is due to A/E
1. Vasospasm
2. Atherosclerosis
3. Peripheral neuritis
4. Increased sugar in blood

Correct answer: 1. Vasospasm